Drug induced lupus can be identified by:
1. Anti-histone antibodies
2. Double stranded DNA antibodies
3. Antinuclear antibodies
4. Anti-SM antibodies

Correct answer: 1. Anti-histone antibodies

Explanation: Anti-histone antibodies are positive in 50-100 % of the patients with drug induced lupus. The drugs most commonly associated with DIL are: ? Procainamide ? Hydralazine ? Quinidine ? Isoniazid So anti-histone antibodies are the single best answer of choice. Ref: Harrison's Principles of Internal Medicine, 16th Edition, Page 1961; Systemic Lupus Erythematosus By Robert G. Lahita, George Sokos, Jill P, Buyon, Takao Koike.